Occlusal night guards are used to
1. Prevent bruxism
2. Reduce pocket formation
3. Redistribute forces on teeth
4. Permit eruption or elongation of teeth

Correct answer: 3. Redistribute forces on teeth